Nodal centre in case of disaster management
1. PHC
2. District
3. Sub centre
4. CHC

Correct answer: 2. District